The inverse stretch reflex is due to:
1. Trail fibre ending
2. Golgi tendon
3. Tail fibre ending
4. Muscle spindle

Correct answer: 2. Golgi tendon

Explanation: (B) Golgi tendon # Inverse Stretch Reflex> Up to a point, the harder a muscle is stretched, the stronger is the reflex contraction.> However, when the tension becomes great enough, contraction suddenly ceases and the muscle relaxes.> This relaxation in response to strong stretch is called the inverse stretch reflex or autogenic inhibition.> The receptor for the inverse stretch reflex is in the Golgi tendon organ.> This organ consists of a net-like collection of knobby nerve endings among the fascicles of a tendon.